Pointing index sign is seen in ---- nerve palsy -
1. Ulnar
2. Radial
3. Median
4. Axillary

Correct answer: 3. Median

Explanation: Pointing index (oschner's clasp test) is seen in high median nerve palsy.